All of the following muscles are composite muscle except
1. Pectineus
2. Rectus femoris
3. Adductor magnus
4. Biceps femoris

Correct answer: 2. Rectus femoris

Explanation: COMPOSITE/ HYBRID MUSCLE:-Muscles with double nerve supply 1. Pectineus:- anterior fibres by femoral nerve, posterior fibres by anterior division of obturator nerve.2. Adductor Magnus:-Adductor part by posterior division of obturator nerve, Hamstring part by tibial part if sciatic nerve.3. Biceps femoris- long head by tibial part of sciatic nerve, short head by common peroneal part of sciatic nerve.Rectus femoris- femoral nerve.Only one nerve supply, hence not composite muscle.{Reference: BDC 6E }